Hypovolemic shock is seen in all except-
1. Hemorrhage
2. Starvation
3. Vomiting
4. Diarrhoea

Correct answer: 2. Starvation